Carotid sheath contain all except
1. Common carotid artery
2. External carotid artery
3. Internal carotid artery
4. Vagus nerve

Correct answer: 2. External carotid artery